The ideal treatment for metastatic choriocarcinoma in the lungs in a young woman is:
1. Chemotherapy
2. Surgery with radiation
3. Surgery
4. Wait and watch

Correct answer: 1. Chemotherapy

Explanation: Ans. is a, i.e. ChemotherapyRef. Shaw 14/e, p 235; COGDT 10/e, p 892, 893"Unlike other malignant lesion, the treatment of choriocarcinoma is mainly chemotherapy, both for local and distant metastasis." --Shaw 14/e, p 235